Long term control of diabetes is assessed by
1. Random blood sugar
2. Microalbuminuria/ creatinine ratio
3. HbA2
4. HbA1c

Correct answer: 4. HbA1c

Explanation: Ans. D i.e. HbA1c